Hyperpigmentation is not seen in:
1. Addision's disease
2. Cushing's Disease
3. Graves Disease
4. Hypothyroidism (Myxedema)

Correct answer: 4. Hypothyroidism (Myxedema)

Explanation: D i.e. Hypothyroidism